Excessive fibrosis in tumor in called -
1. Anaplasia
2. Metaplasia
3. Desmoplasia
4. Dysplasia

Correct answer: 3. Desmoplasia

Explanation: Ans. is 'c' i.e., Desmoplasiao In some tumors, parenchymal cells stimulate the formation of an abundant collagenous stroma, referred to as desmoplasia, eg scirrhous carcinoma of breast.